The most significant immediate result of lowered serum calcium is
1. Weakened heart action
2. Decalcification of bones
3. Decalcification of teeth
4. Hyperirritability of nerves and muscles

Correct answer: 4. Hyperirritability of nerves and muscles